Radicontrast reactions are mostly:
1. Anaphylactoid reactions
2. IgE-Mediated reactions
3. Delayed hypersensitivity reactions
4. Immune complex mediated reactions

Correct answer: 1. Anaphylactoid reactions

Explanation: Ans. Anaphylactoid reactions